Sodium 2-mercapto ethane sulfonate is used as a protective agent in:
1. Radiotherapy
2. Cancer chemotherapy
3. Lithotripsy
4. Hepatic encephalopathy

Correct answer: 2. Cancer chemotherapy

Explanation: Ans. (B) Cancer chemotherapy(Ref: KDT 8th/e p919)Sodium-2-mercapto ethane sulfonic acid (mesna) is used to ameliorate the hemorrhagic cystitis caused by cyclophosphamide and ifosfamide.